The enzyme group kinases require the following element for its function:
1. Mn2+
2. Fe2+
3. Mg2+
4. Cu2+

Correct answer: 3. Mg2+

Explanation: Functions of Magnesium: Mg2+ is the activator of many enzymes requiring ATP. Alkaline phosphatase, hexokinase, fructokinase, phosphofructokinase, adenyl cyclase, cAMP dependent kinases etc. need magnesium. Neuromuscular irritability is lowered by magnesium Insulin dependent uptake of glucose is reduced in magnesium deficiency. Magnesium supplementation improves glucose tolerance. Ref: Textbook of Biochemistry by Vasudevan, 5th edition, Page 319.